Process of deflouridation of water is -
1. Nalgonda technique
2. NINH
3. Sand filter
4. Parboiling

Correct answer: 1. Nalgonda technique

Explanation: The National Environmental Engineering Research Institute,Nagpur developed a technique for removing flouride by chemical treatment.It is called Nalgonda technique for deflourination of water.REF.PARK'S TEXTBOOK OF PREVENTIVE AND SOCIAL MEDICINE.Editon-21.Page no.-596